Inner hair cells depolarise due to
1. K+influx
2. Na influx
3. Kefflux
4. Voltage gated ca channels

Correct answer: 1. K+influx

Explanation: K+ channals on stereocilia are linked by elastic filaments Displacement of cilia opens or closes potassium channals K+entry causes depolarization and causes voltage gated calcium channels to open Clacium triggers release of neurotransmitters Ref:Guyton and Hall textbook of medical physiology 12th edition,page number:722,723,724